Loss of insight is seen in
1. Hysteria
2. Anxiety
3. OC neurosis
4. Schizophrenia

Correct answer: 4. Schizophrenia

Explanation: Ans. is 'D' SchizophreniaLoss of insight is seen in Psychotic disorders which includeSchizophrenia*Mood disorders (Mania, Depression, MDP) *Delusional disorder*